CuT 380A IUCD should be replaced once in -
1. 4 yrs
2. 6 yrs
3. 8 yrs
4. 10 yrs

Correct answer: 4. 10 yrs

Explanation: Cu-T- 380A is approved for use for 10 years, but it has been demonstrated to maintain its efficacy over at least 12 years of use Reference : Park's textbook of preventive and social medicine, 23rd edition, Page no: 497